The investing layer of deep cervical fascia splits to enclose all of the following, except:
1. Parotid and submandibular glands
2. Sternocleidomastoid and vertebral arteries
3. Trapezius and sternocleidomastoid muscles
4. Suprasternal and supraclavicular spaces

Correct answer: 2. Sternocleidomastoid and vertebral arteries

Explanation: The investing layer of deep cervical fascia splits to enclose:

Muscles—trapezius and sternocleidomastoid.
Salivary glands— parotid and submandibular glands.
Spaces— suprasternal and supraclavicular spaces.